Micronodular cirrhosis is seen in all EXCEPT
1. Chronic hepatitis B
2. Alcoholic liver disease
3. Hemochromatosis
4. Chronic extrahepatic biliary obstruction

Correct answer: 1. Chronic hepatitis B

Explanation: MICRONODULAR CIRRHOSIS < 3.0 mm MACRONODULAR CIRRHOSIS >3.0 mm Micronodular cirrhosis Macronodular cirrhosis -Alcohol Chronic Hep B or Hep C -Hemochromatosis Wilson's disease -Extra hepatic biliary obstruction a-1 antitrypsin deficiency -Veno occlusive disease -Indian childhood cirrhosis